The 'a'wave of jugular venous pulse is produced by-
1. Atrial relaxation
2. Atrial systole
3. Atrial diastole
4. Rapid venous filling

Correct answer: 2. Atrial systole

Explanation: JVP or jugular venous is a reflection of the right atrial pressure.The "a" wave in JVP reflects atrial systole Ref Harrison 20th edition pg 1436